Following is a clinical feature of cerebellar disease
1. Paralysis
2. Sensory deficit
3. Ataxia
4. Resting tremors

Correct answer: 3. Ataxia

Explanation: . *Dysmetria and ataxia are the two important symptoms of cerebellar disease. Cerebellar ataxia can occur as a result of many diseases and may present with symptoms of an inability to coordinate balance, gait, extremity and eye movements.Lesions to the cerebellum can cause dyssynergia, dysmetria, dysdiadochokinesia, dysarthria and ataxia of stance and gait. Deficits are observed with movements on the same side of the body as the lesion (ipsilateral). Clinicians often use visual observation of people performing motor tasks in order to look for signs of ataxia Ref Harrison20th edition pg 2756